At 90 kVp and 15 mA at a source film distance of 8 inches, the exposure time for a film is ½ second, using the same amount of kVp and mA, the exposure time at 16 inches is:
1. ½ second
2. 1.5 second
3. 1 second
4. 2 seconds

Correct answer: 4. 2 seconds